HLA associated with Rheumatoid arthritis
1. HLA B27
2. HLA DR4
3. HLA B5
4. HLA CW6

Correct answer: 2. HLA DR4

Explanation: Association of HLA Alleles and Inflammatory DiseasesDiseaseHLA AlleleRelative Risk Ankylosing SpondylitisB2790-100Postgonococcal arthritisB2714Acute anterior uveitisB2714Rheumatoid arthritisDR44Chronic active hepatitisDR313Primary Sjogren syndromeDR39Type 1 DiabetesDR35DR46DR3/DR420